All of the following statements regarding subendocardial infarction are true, except:
1. These are multifocal in nature
2. These often result from hypotension or shock
3. Epicarditis is not seen
4. These may result in aneurysm

Correct answer: 4. These may result in aneurysm

Explanation: Ans. (d) These may result in aneurysm(Ref: R 9th/pg 544)Subendocardial (Nontransmural) InfarctionResult of a plaque disruption followed by a coronary thrombus Q that becomes lysed (therapeutically or spontaneously) before necrosis extends across major thickness of wallLocalized to inner third of the ventricular wall QSubendocardium- least perfused Q region of myocardium- most Q vulnerable to any reduction in coronary flow (hypotension/shock) QIn this case infarct can be multifocal-option a and b is true Option d- is complication of transmural infarct.